Deep inguinal ring is a deficiency in the:
1. Internal oblique muscle
2. Transverses abdominis muscle
3. Internal spermatic fascia
4. Transversalis fascia

Correct answer: 4. Transversalis fascia

Explanation: D i.e. Transversalis fascia